Drug remaining in the body after 3 half lives is:
1. 12.50%
2. 75%
3. 87.50%
4. 94%

Correct answer: 1. 12.50%